A graft that has been derived from another species of a different genetic disposition is also known as a:
1. Allograft
2. Isograft
3. Homograft
4. Heterograft

Correct answer: 4. Heterograft